Projectile vomiting is a feature of:
1. Esophageal atresia
2. Hypertrophic pyloric stenosis
3. Cholera
4. Intussusception

Correct answer: 2. Hypertrophic pyloric stenosis

Explanation: b. Hypertrophic pyloric stenosis(Ref: Nelson's 20/e p 1797-1799, Ghai 8/e p 279-280)Discussing the options one by onea. Esophageal atresiaFrothing & bubbling at mouth & nose & coughing, cyanosis, respiratory distress seenb. Hypertrophic pyloric stenosisProgressive non-bilious vomiting is the initial symptom of pyloric stenosisc. CholeraProfuse watery diarrhea, with profuse rice water stools with a fishy smell is seend. IntussusceptionSudden onset of severe paroxysmal colicky pain that is accompanied by straining efforts with legs and knees flexed. Vomiting occurs in most cases, but is not projectile.